Which among the following will cause tactile hallucination
1. Opium
2. Cannabis
3. Cocaine
4. Cyanide

Correct answer: 3. Cocaine

Explanation: Ans) c (Cocaine) Ref Reddy 29th e p544, 545Hallucination of worms crawling over the body occurs in Cocaine poisoning- Magnan symptoms.- Tactile hallucination- Delerium tremens.- Amphitamine poisoning.- Chronic cocaine poisoning.- Atropine overdose.Lilliputian hallucination- Acute cocaine poisoning.- Delerium tremens.